Le Fort lll fracture is the same as
1. Craniofacial dysjunction
2. Guerrin's fracture
3. Pyramidal fracture
4. None of the above

Correct answer: 1. Craniofacial dysjunction